A boy with skin ulcer on leg, culture reveals beta hemolysis. Cultures from school children with sore throat some days back also revealed beta hemolysis. What is the similarity between both:
1. Mec A gene is related to it
2. M protein is same
3. C carbohydrate antigen is same
4. Strains causing both are same

Correct answer: 3. C carbohydrate antigen is same

Explanation: Both of above mentioned conditions are caused by Group A STREPTOCOCCUS . Option 1 mec A gene Found in bacterial cells Responsible for resistance to antibiotics such as methicillin, penicillin, erythromycin, tetracycline The most commonly known carrier of the mec A gene is MRSA. Option 2, 4 Strains causing skin infection and throat infection are different and belong to different 'M' serotypes. Option 3 The carbohydrate 'C' antigen is group specific, i.e. beta- hemolytic group A Streptococci (Str. pyogenes) have same 'C' antigen.